Ketamine is the preferred anaesthetic for the following EXCEPT:
1. Hypertensives
2. Trauma cases that have bled significantly
3. Burn dressing
4. Short operations on asthmatics

Correct answer: 1. Hypertensives

Explanation: * Ketamine is contra-indicated in hypertensives because it increases the blood pressure. * It is the induction agent of choice for: -- Asthmatics -- Shock -- Children -- Full stomach * It possesses very powerful analgesic action. * It can be used as a sole agent for minor procedures.